In DNA, Cytosine is paired with -
1. Thymine
2. Guanine
3. Ademine
4. Uracil

Correct answer: 2. Guanine

Explanation: Ans. is 'b' i.e., Guanine o The sugar of DNA is deoxyribose. The purine bases in DNA are adenine (A) and Guanine (G) Q, and pyrimidine bases are thymine (T) and cytosine (C) Q. Uracil (U), a pyrimidine, is not found in DNAQ.o Adenine is always paired with thymine by formation of two hydrogen bonds and Guanine is always paired with cytosine by formation of three hydrogen bonds.Antiparallel strands of DNA